The incisura of arterial pulse corresponds with:
1. SI
2. S2
3. Opening snap
4. S3

Correct answer: 2. S2

Explanation: Ans: B (S2) Ref: l. Pal GK. Cardiac cycle. In: Textbook of medical physiology: Ahuja publishing house. 2007: 73: 601.Explanation:"The dicrotic notch recorded directly from the central aorta is termed the incisura (from the Latin, a cutting into ). The incisura is sharply defined and undoubtedly is related to aortic valve closure. " l See the following figure )